Drugs causing peptic ulcer are all except ?
1. Clopidogrel
2. NSAID
3. Mycophenolate mofetil
4. Propylthiouracil

Correct answer: 4. Propylthiouracil

Explanation: Ans. is 'd' i.e., Propylthiouracil Drug/Toxin causing peptic ulcer disease: Bisphosphonates Chemotherapy Clopidogrel Crack cocaine Glucocorticoids (when combined with NSAIDs) Mycophenolate mofetil Potassium chloride